Psammoma bodies are seen in all except ?
1. Seminaoma
2. Meningioma
3. Pappilary carcinoma of thyroid
4. Pappilary serous cystadenocarcinoma of the ovary

Correct answer: 1. Seminaoma

Explanation: Ans. is 'a' i.e., Seminoma Psammoma bodies represent a process of dystrophic calcification. Single necrotic cells may constitute seed crystals that become encrusted by the mineral deposits. The progressive acquisition of outer layers may create lamellated configurations, called psammoma bodies because of their resemblance to grains of sand. Psammoma bodies are seen in : Papillary cancer of thyroid Meningioma Papillary serous cystadenocarcinoma of ovary